Anti Ro antibodies are present in all except:
1. SLE
2. Sjogren syndrome
3. Neonatal lupus
4. Mixed connective tissue disorder

Correct answer: 4. Mixed connective tissue disorder

Explanation: Anti-Rho or SS-A antibodies SLE, Sjogren syndrome (can be transmitted across the placenta resulting in neonatal lupus which presents as complete heart block) U1 R.N.P. (Ribo-Nucleo-protein antibody). Mixed connective tissue Anti ds-DNA antibody Increased risk of nephritis in cases of SLE. Anti centromere antibody Limited scleroderma-CREST Syndrome Antibodies to Ribosomal-P antigen CNS lupus Antibodies to tRNA synthetase Polymyositis with interstitial lung disease Anti - Glutamic acid decarboxylase antibody Latent autoimmune diabetes Anti- Endomyosial antibody Celiac sprue Anti-Histone antibody Drug induced lupus